Father of modern orthodontics is:
1. Dewey
2. Angle
3. Andrew
4. Clark

Correct answer: 2. Angle

Explanation: Edward H. Angle (1855–1930), who is regarded as the ‘Father of modern Orthodontics’ was the most commanding, most influential and prominent person in orthodontics.
Pierre Fauchard, often called the father of modern dentistry.